Carcinoma thyroid with blood-borne metastasis is-
1. Follicular
2. Papillary
3. Mixed
4. Medullary

Correct answer: 1. Follicular

Explanation: As already explained above

Papillary spreads mainly by → lymphatics
Follicular spreads mainly by → hematogenous
Anaplastic spreads mainly by → direct (lymphatic and blood-borne spread is also seen)
Medullary spreads mainly by → lymphatics

Also Remember

"The most common sites of blood-borne metastasis are lung, bones and brain. Lung involvement is more frequent in papillary carcinoma, while bone involvement is more common in follicular thyroid Ca."

Endocrine surgery of head & neck by Phillip K. Pellitteri & Thomas V. McCaffrey